Spalding sign indicates:
1. Stillborn child
2. Live born child
3. Dead born child
4. Viable child

Correct answer: 3. Dead born child

Explanation: Ans. C i.e. Dead born child